Most common pattern of fingerprints?
1. Whorls
2. Loops
3. Arches
4. Composite

Correct answer: 2. Loops

Explanation: Study of fingerprints is called DACTYLOGRAPHY There are different types of patterns of fingerprints. They are ((Love Wife And Children.)) LOOPS WHORLS ARCH COMPOSITE Most common pattern of fingerprint - LOOPS Least common pattern of fingerprint - COMPOSITE